Most important morphologic or histologic consideration
in cavity preparation in primary teeth is
1. Size of primary molars
2. Thickness of enamel and dentin
3. Direction of roots below CEJ
4. Direction of enamel rods cervically

Correct answer: 2. Thickness of enamel and dentin